Which of the following is the intracranial material appearing most dense on computed tomography C.T) of the head?
1. Acute hematoma
2. White matter
3. Gray matter
4. CSF

Correct answer: 1. Acute hematoma

Explanation: Ans. A. Acute hematomaComputed tomographic scanning measures the density of intracranial as well as extracranial structures. Bone appears much denser than blood, but blood is obvious on the unenhanced (precontrast) CT scan precisely because it is much denser than white matter, gray matter, and CSF. The resolution of the CT scan is generally not sufficient to differentiate the pia mater from the gray matter on which it lies. Other meningeal structures, such as the dura mater, may appear denser than brain, especially if there is some calcification in the membranes.